Swimming pool conjunctivitis is caused by -
1. Pseudomonas
2. Coxsackievirus
3. Chlamydia
4. Mycoplasma

Correct answer: 3. Chlamydia

Explanation: Ans. is 'c' i.e., Chlamydia * Inclusion conjunctivitis caused by chlamydia trachomatis is seen sexually active people due to transmission from the genitalia to eye by autoinfection. The infection is also acquired from bathing in contaminated unchlorinated swimming pools and, hence, this disease is also known as swimming pool conjunctivitis,